Ideally, a malocclusion should be treated between the age of:
1. 5 and 8 years
2. 8 and 10 years
3. 10 and 12 years
4. The age at which a malocclusion is treated depends on the problem involved

Correct answer: 4. The age at which a malocclusion is treated depends on the problem involved